Combination of pilocarpine and epinephrine use in glaucoma treatment may inhibit:
1. Pigmented pupillary cyst
2. Retinal detachment
3. Vitreous haemorrhage
4. Iridocyclitis

Correct answer: 1. Pigmented pupillary cyst

Explanation: Ans. Pigmented pupillary cyst